Which of the following is a high pitched sound:
1. 1st heart sound
2. Tumour plop
3. Opening Snap
4. 4th heart sound

Correct answer: 3. Opening Snap

Explanation: Ans. C: Opening snap The opening snap (OS) is a brief, high-pitched, early diastolic sound, which is usually due to stenosis of an AV valve, most often the mitral valve First heart sound (S1): Due to closure of AV valves (mitral and tricuspid) Low pitched Duration: 0.14 seconds Soft 51: Mitral stenosis (long standing, calcified), mitral regurgitation Loud Si: Mitral stenosis (prolonged flow through AV valve), anemia, fever, thryotoxicosis Second heart sound (S2): Due to closure of semilunar valves (aortic, pulmonary) High pitched Wide split of S2: Atrial septal defect, mitral regurgitation, pulmonary stenosis Reverse splitting of S2: LBBB, hypertension, aortic stenosis Third heart sound (S3): Due to ventricular filling Low pitched Diastolic, occurring after S2 Best heard at apex with the bell of stethoscope Causes: Children, hyperdynamic states, left ventricular failure, right ventricular failure Fourth heart sounds (S4): Low pitched Pre-systolic, produced during second rapid filling phase (before S1) Best heard with bell of stethoscope Seen in: Hypertension, aortic stenosis, HOCM, acute mitral regurgitation